Milian's ear sign is seen is
1. Cellulitis
2. Erysipelas
3. Lymphangitis
4. Abscess

Correct answer: 2. Erysipelas

Explanation: Erysipelas being a cutaneous condition can spread to ear lobule = Milian's ear sign.